Oxidase positive bacteria -
1. Pseudomonase
2. V cholerae
3. Gonococcus
4. All of the above

Correct answer: 4. All of the above

Explanation: Ans. is 'd' i.e., All of the aboveOxidase positive bacteria* Pseudomonas* Campylobacter jejuni* H. pylori* V. cholerae* Aeromonas spp* Legionella pneumophila* Neisseria (meningococci, gonococci)